Giant dendritic ulceration on cornea is seen in case of:
1. Fungal infection
2. Chlamydial infection
3. HSV infection
4. Pneumococcal infection

Correct answer: 3. HSV infection

Explanation: Ans. (c) HSV infectionRef: A.K. Khurana 6th ed. /108* Viral keratitis causes corneal ulceration. It is caused most commonly by Herpes simplex, Herpes Zoster and Adenoviruses.* Dendritic & geographical corneal ulcers are seen in herpes simplex ocular disease.* Dendritic ulcer (branching ulcer with knobbed ends), resembles no other condition, and is pathognomic of herpes simplex ocular infection.* The use of steroids in dendritic ulcer hastens the formation of geographical ulcer so it is contraindicated.